Working length of root canal is
1. 0.5 to 1 mm short of radiographic apex
2. 1 to 2 mm short of apex
3. Exactly at apex
4. 1 to 2 mm apical to apex

Correct answer: 1. 0.5 to 1 mm short of radiographic apex